Which of the following is the treatment of choice for atticoantral variety of chronic suppurative otitis media?
1. Mastoidectomy
2. Medical management
3. Underlay myringoplasty
4. Insertion of ventilation lube

Correct answer: 1. Mastoidectomy

Explanation: Atticoantral type of CSOM involves the attic of the tympanic membrane and is often associated with cholesteatoma formation. In this type, a retraction pocket develops in the pars flaccida and a cholesteatoma develops if the squamous epithelium cannot migrate out of this pocket. It is associated with a number of complications and the surgery is the primary modality of treatment. Surgical procedures indicated in this condition are atticotomy, mastoidectomy or combined approach tympanoplasty. Tubotympanic type of CSOM involves the anteroinferior part of the middle ear cleft and is associated with a permanent central perforation. It is not associated with serious complications and it is called safe or benign CSOM.